For a distended knee joint which of the following position is most comfortable ?
1. Full extension
2. 30° flexion
3. 60° flexion
4. 90° flexion

Correct answer: 2. 30° flexion

Explanation: In 30° flexion, knee joint has maximum capacity and pressure of contained fluid or blood is minimum and consequently there is least pain. Capacity of knee joint decreases and pain thereby increases when the knee is fully extended or flexed more than 30°-45°.